What are fly belts?
1. Insecticide impregnated belts to ward off tse tse flies
2. Regions infested with tse tse flies
3. Sticky paper strips to catch flies
4. None of the above

Correct answer: 2. Regions infested with tse tse flies

Explanation: Regions of Africa are ravaged by tse tse flies. Such regions infested with flies are known as fly belts. Chapter: Environment and health Ref: Park 21st edition page: 716